Choriocarcinoma with lung metastasis is stage ?
1. 1
2. 3
3. 2
4. 4

Correct answer: 2. 3

Explanation: Ans. is 'b i.e., 3 Stage IDisease confined to uterusStage IA: Disease confined to uterus with no risk factorsStage IB: Disease confined to uterus with one risk factorStage IC: Disease confined to uterus with two risk factorsStage II: Gestational trophoblastic tumor extending outside uterus but limited to genital structures(adnexa, vagina, and broad ligament)Stage IIA: Gestational trophoblastic tumor extending outside uterus but limited to genital structures without risk factorsStage IIB: Gestational trophoblastic tumor extending outside uterus but limited to genital structures with one risk factorStage IIC: Gestational trophoblastic tumor extending outside uterus but limited to genital structures with two risk factorsStage III: Gestationaltrophoblastic disease extending to lungs with orwithout known genital tract involvementStage IIIAGestational trophoblastic tumor extending to lungs with or without genital:tract involvement and with no risk factors Stage IIIBGestational trophoblastic tumor extending to lungs with or without genital tract involvement and with one risk factor Stage IIICGestational trophoblastic tumors extending to lungs with or without genital tract involvement and with two risk factors Stage IV: All other metastatic sites (liver/brain)Stage IVA:All other metastatic sites without risk factorsStage IVB:All other metastatic sites with one risk factorStage IVC:All other metastatic sites with two risk factors